Louis Pasteur is not associated with -
1. Introduction of Complex media
2. Discovery of Rabies vaccine
3. Discovery of M.tuberculosis
4. Disproved spontaneous generation theory

Correct answer: 3. Discovery of M.tuberculosis

Explanation: Louis Pasteur is associated with

Development of live vaccine (first was anthrax)
Development of a vaccine for rabies (hydrophobia)
Introduction to the technique of sterilization
Disprove the theory of spontaneous generation (abiogenesis)
Established the different growth need of different bacteria (helped in complex media)
Coined the term vaccine
M. tuberculosis was discovered by Robert Koch.